Which may be a consequence of occlusal trauma on implants?
1. Widening of the periodontal ligament.
2. Soft-tissue sore area around the tooth.
3. Bone loss.
4. All of the above.

Correct answer: 3. Bone loss.

Explanation: Bone loss is usually seen on the most coronal aspect of the implant in the form of a wedge. There is no periodontal ligament on implants, so there is no feeling of soreness.